Dobutamine is preferred over Dopamine in cardiogenic shock because of its effects related to
1. Better cardiac stimulation
2. Less peripheral Vasoconstriction
3. Lower risk of cardiac Arrythymia
4. More CNs stimulation

Correct answer: 2. Less peripheral Vasoconstriction

Explanation: Dobutamine is a catecholamine with b-1 and b-2 adrenergic agonist properties which help improve myocardial contractility. In patients with cardiogenic shock due to decompensated heart failure,dobutamine decreases left ventricular end-diastolic pressure and raises blood pressure by increasing cardiac output. Refer kDT 7/e p 134